Second generation antihistamines used in allergic rhinitis are except
1. Azelastine
2. Fexofenadine
3. Chlorpheneramine maleate
4. Desloratidine

Correct answer: 3. Chlorpheneramine maleate

Explanation: Chlorpheniramine and promethazine are first generation antihistamines. Refer kDT 6/e p158